Pseudo obstruction of intestine is also known as
1. Hartmanns syndrome
2. Ozilis syndrome
3. Ogilvies syndrome
4. Mirizzi syndrome

Correct answer: 3. Ogilvies syndrome

Explanation: Ans. (c) Ogilvie's syndromeRef.: Bailey & Love 26th ed. /1198* Pseudo-obstruction of the colon is called as ogilvie's syndrome which is characterized by distention of the colon, with signs and symptoms of colonic obstruction, in the absence of an actual physical cause of the obstruction. The cause of the dilation was attributed to the malignant infiltration of the sympathetic ganglia.* Mirizzi syndrome is a gallstone becoming impacted in cystic duct or neck of gall bladder causing compression of CBD and resultant obstructive Jaundice.